Leukocyte adhesion to endothelium is mediated by all except ?
1. L selectin
2. E selectin
3. VCAM 1
4. VCAM 4

Correct answer: 4. VCAM 4

Explanation: Ans. is 'd' i.e., VCAM 4